Following is true about Wilm's tumor, except:
1. May present with an abdominal lump
2. It is most common renal neoplasm in children
3. It is always unilateral
4. Responds well to chemotherapy

Correct answer: 3. It is always unilateral

Explanation: Ans. (c) It is always unilateralRef: Campbell Urology 11th Edition, Page 3568* Wilm's Tumor presents with both unilateral and bilateral tumor.